Which muscle originates from anterior superior iliac spine?
1. Iliofemoral ligament
2. Sartorius
3. Vastus lateralis
4. Vastus medialis

Correct answer: 2. Sartorius

Explanation: Ans. B SartoriusRef: Gray's Anatomy, P 630* The anterior superior iliac spine is a bony projection of the iliac bone and an important landmark of surface anatomy.* It provides attachment for the inguinal ligament, and sartorius muscle.